Which of the following organs does not show pale infarct?
1. Lung
2. Heart
3. Kidney
4. Spleen

Correct answer: 1. Lung

Explanation: Pale infarcts are typically seen in heart, kidney and spleen. Red infarcts principally occur in organs with dual blood supply such as lungs, or in those organs with extensive collateral circulation such as brain and small intestine. In both types of infarcts, infarcted area shows coagulative necrosis, but in red infarct there is bleeding into the necrotic area from adjacent arteries and veins. Reference: Essentials of Rubin's Pathology edited by Emanuel Rubin, 5th edition page 123.